Ovary develop from :
1. Mullerian duct
2. Genital ridge
3. Genital tubercle
4. Mesonephric duct

Correct answer: 2. Genital ridge

Explanation: Genital ridge Friends, I am giving you a very important tabls. Many questions can be solvod trom lhis very table. Male and female derivatives of embryonic urogenital structures. Embryonic structures Derivatives Male Female Labioscrotal swelling Scrotumo Labia majorao Urogenilal folds Ventral aspect ot penis Labia minora Geniial tubercleo Peniso Clitoriso Urogenital sinus Urinary bladder Urinary bladder Urethra except navicular lossa Urethral and paraurethral glands Prostate gland Vagina Prostatic utricle Bartholin's glands Bulbo-uretheral glands ParamesoneDhric duct Appendix of tesies Hvdatid ol moroaoni. uterus. cewix fallopian tubes Mesonephric duct Ductus eoididvmis Duct of epoophoron Garlner's cvsl Seminal vesiclos Mesonephric tubules Ductuli etterentes Epoophoron Paradidymis Paraoophoron Undifferenliated gonads/ Testis Ovary Genital / gonadal ridge Cortex Seminiferous tubules Ovarian tollicle Medulla Rete testis Rete ovarii Gubernaculum Gubernaculum testis Ovarian ligament Round ligament Also know : Germ cells are of endodermal origin and migrate from yolk sac to genital ridge between 20 - 30 days.deg Until the seventh week of development gonads do not develop male or female characteristic (i.e. are bipotential in nature).deg SRY gene located on the short arm of Y chromosome, directly control the development of testis from the bipotential gonads.deg In a XX individual, without the active influence of Y chromosome, the bipotential gonad develops into an ovary two weeks later than testicular development.deg